Neisseria infection is associated with
1. Deficiency of early complements
2. Deficiency of late complements
3. There is no such association
4. Any deficiency can be associated

Correct answer: 2. Deficiency of late complements

Explanation: Meningitis and meningococcemia are caused by Neisseria meningitides Fulminant meningococcemia caused by Neisseria meningitidis is called Waterhouse Friderichsen syndrome. Fatal condition - characterized by shock, disseminated intravascular coagulation and multisystem failure. Meningococcal disease is favored by the deficiency of terminal complement components ( C5 - C9). Reference: Textbook of Microbiology; Anathanarayan and panicker's; 10th edition; Page no: 232